All are parts of vulva except
1. Labia Minora
2. Labia Majora
3. Perineal body
4. Clitoris

Correct answer: 3. Perineal body

Explanation: Ans. is c, i.e. Perineal bodyRef: Williams OBS 25th/ed, p16.Some books say perineum is a part of vulva, others don't. So, best answer here is 'c'.